The commonest site of surgical uretero-vaginal fistula is:
1. Below infudibulopelvic ligament
2. Below uterine artery in the mackenrodts ligament
3. Vaginal angle
4. Above uterine artery

Correct answer: 2. Below uterine artery in the mackenrodts ligament

Explanation: B. i.e. Below uterine artery in Mackenrodt's ligament Maximum chances of ureteric injury is in hysterectomy while ligating uterine vessels in mackenrodt's ligament Ureter is also vulnerable to injury when ovarian vessels are being ligated during ovariectomy.